Which of the following RCC do not have papillary architecture in histology ?
1. Xp11 translocation carcinoma
2. Bellini duct carcinoma
3. Succinate dehydrogenase-deficient RCC
4. Papillary carcinoma

Correct answer: 3. Succinate dehydrogenase-deficient RCC

Explanation: Succinate dehydrogenase deficient renal cell carcinoma (SDD-RCC) It is very rare type of RCC It is defined by WHO as a malignant epithelial tumor, composed of vacuolated eosinophilic to clear cells with loss of immunohistochemical expression of SDHB gene. Features : Characteristic flocculent cytoplasmic vacuoles with a pale eosinophilic, bubbly appearance and low grade nuclei Image : SDD-RCC showing cytoplasmic vacuoles which imparts a bubbly appearance.